Palpatory thud audible slap is seen in:
1. Tracheal foreign body
2. Bronchial foregion body
3. Laryngeal foreign body
4. None

Correct answer: 1. Tracheal foreign body

Explanation: A foreign body in trachea may move up and down the trachea between the carnia and the undersurface of vocal cords causing "audible slap" and "palpatory thud."